The following drug acts by hypomethylation-
1. Gemcitabine
2. Capecitabine
3. Decitabine
4. Cytosine arabinoside

Correct answer: 3. Decitabine

Explanation: Ans. is 'c' i.e., Decitabine o Decitabine a cytidine analogue (pyrimidine analogue), causes hypomethylation by inhibiting DNA methyl transferase. o Other drug causing hypomethylation by inhibiting DNA methyl transferase - Azacitidine.